The most sensitive investigation for air embolism is:
1. Deceased tidal volume of CO2
2. TEE
3. Decreased tidal volume of NO2
4. Central venous pressure

Correct answer: 2. TEE

Explanation: Ans. TEE